In a patient with Foville's syndrome all of the following cranial nerves are involved, EXCEPT:
1. Facial
2. Trochlear
3. Trigeminal
4. Abducens

Correct answer: 2. Trochlear

Explanation: In a patient with foville's syndrome there is involvement of the V, VI, VII and VIII cranial nerves. The lesion in this syndrome affects the dorsal part of the brain stem thereby involving structures such as medial longitudinal fasciculus, pontine paramedian reticular formation, fifth nerve and sympathetic neruons. These patients presents with horizontal conjugate gaze palsy, ipsilateral V, VI, VII, and VIIIth nerve palsies with ipsilateral Horner's syndrome. Ref: Textbook of Ophthalmology edited by Sunita Agarwal,page 342.